All of the following are cholinergic effects except:
1. Tachycardia
2. Salivation
3. Miosis
4. Bronchoconstriction

Correct answer: 1. Tachycardia

Explanation: Ans. A: TachycardiaEffects of parasympathetic activity:Contraction:- Ciliary muscle,Sphincter muscle of iris- Bronchial muscle- Gall bladder- Detrusor muscle of bladderRelaxation:- Sphincters of stomach, intestines and bladderDecreases:- Heart rate, Contractility and conduction velocityIncreases:- Motility of stomach and intestines- Secretion of exocrine pancreas, salivary glands and lacrimal gland